In a drive for swachta abhiyaan, few group of young social activist markers cleaned sewers, after that they complain of fever, headaches. On examination, a non-catalase, non-glucose fermenting organism is isolated.
Which of the following is most likely responsible:
1. Pseudomonas
2. Leptospira
3. Chlamydia
4. Actinomyces

Correct answer: 2. Leptospira

Explanation: Leptospirosis
Leptospira organisms are found in damp environments and affect people working there, like

Stagnant water (sewer workers)
Wet soil (agricultural workers)
Mine workers

Infected person can develop mild febrile illness, headache to jaundice and renal failure. Human acts as an end host of these organisms.